Which among the following is implicated in causing Parkinson
1. Carbon dioxide
2. Ethanol
3. Manganese
4. Zinc

Correct answer: 3. Manganese

Explanation: Manganese, carbon monoxide, methanol, cyanide are known to cause Parkinson's